If the 4% of thymine residues in DNA is 28% what is the % of cystosine
1. 28%
2. 44%
3. 36%
4. 22%

Correct answer: 4. 22%

Explanation: this is solved acc to chargaff rules = A+T+G+C=100% REF : LIPINCOTT BIOCHEMISTRY